A child plays a simple ball game at:
1. 52 weeks
2. 36 weeks
3. 12 weeks
4. 40 weeks

Correct answer: 1. 52 weeks

Explanation: Playing a simple ball game comes at 1 year or 52 weeks.